Earliest immunoglobulin to be synthesized by foetus in response to infection:
1. IgA
2. IgE
3. IgM
4. IgG

Correct answer: 3. IgM

Explanation: Ans. C: IgM In germline cells, the gene segment encoding the p (mu) constant region of the heavy chain is positioned first among other constant region gene segments. For this reason, IgM is the first immunoglobulin expressed by mature B cells. It is also the first immunoglobulin expressed in the fetus (around 20 weeks) and also phylogenetically the earliest antibody to develop